A female undergoing treatment for infertility with IVF was given Inj. HCG, present with history of vomiting, nausea, and headache. The USG is shown as below, what is the diagnosis?
1. Ovarian Hyperstimulation Syndrome
2. PCOS
3. Theca leutin Cysts
4. Granulosa cell Tumor

Correct answer: 1. Ovarian Hyperstimulation Syndrome

Explanation: USG image showing multiple cysts along with h/o undergoing IVF treatment is suggestive of Ovarian Hyperstimulation syndrome Ovarian hyperstimulation syndrome (OHSS) It is a complication of ovarian stimulation treatment (ovarian induction therapy) orin-vitrofeilisation (IVF). Rarely, it may occur in pegnancy as a spontaneous event. Ascites and pleural effusion may also be present USG findings : Bilateral symmetric enlargement of ovaries. Multiple cysts of varying sizes, giving it "spoke-wheel appearance"